Traid of Bulgar urethral injury includes all except
1. Perimeal hematoma
2. Blood at external urethral meatus
3. Acute retention of urine
4. Pelvic hematoma

Correct answer: 4. Pelvic hematoma

Explanation: Pelvic hematoma occurs in membranous urethral injury not bulbar urethral injury.